These ventral spinal rootlets are more prone to injury during decompressive operations because they are shorter and exit in a more horizontal direction
1. C5
2. C6
3. C7
4. T1

Correct answer: 1. C5

Explanation: Due to rostral shift of the spinal cord during development, the spinal nerve roots become progressively oblique from above downwards.
In upper cervical region, the spinal nerve roots are short and run almost horizontally but the roots of the lumbar and sacral nerves are long and run almost vertically.